In central serous retinopathy-
1. Often shows focal leakage on fluorescein fundus photography
2. A macular hole is a common end result
3. The image perceived by the patient on the affected side in unilateral cases is bigger than on the normal side
4. A dense central scotoma is the most common presentation

Correct answer: 1. Often shows focal leakage on fluorescein fundus photography

Explanation: Ans- A Ref- Central serous chorioretinopathy is when fluid builds up under the retina. This can distort vision. The fluid leakage comes from a layer of tissue under the retina, called the choroid. There is another layer of cells called the retinal pigment epithelium (RPE). When the RPE doesn't work as it should, fluid builds up under the RPE. As a result, a small detachment forms under the retina, causing vision to become distorted. This image from an OCT scan shows how central serous retinopathy (also called central serous choroidopathy) causes a blister-like swelling in layers of the retina.